Renal cortical imaging is done by
1. DTPA
2. DMSA
3. MAG3
4. UIH

Correct answer: 2. DMSA

Explanation: (Ref: Grainger's diagnostic radiology, 6th ed; page 133)